Labyrinthine artery is a branch of
1. Internal carotid artery
2. Posterior cerebellar artery
3. Anteroinferior cerebellar artery
4. Basilar artery

Correct answer: 3. Anteroinferior cerebellar artery

Explanation: BLOOD SUPPLY OF LABYRINTH The entire labyrinth receives its arterial supply through labyrinthine artery, which is a branch of anterior-inferior cerebellar artery but sometimes from the basilar artery. Ref:- Dhingra; pg num:-10,11